Brucellosis can be transmitted by all of the following modes, except-
1. Contact with infected placenta
2. Ingestion of raw vegetables from infected forms
3. Person to person transmission
4. Inhalation of infected dust or aerosol

Correct answer: 3. Person to person transmission

Explanation: Ans. is 'c' i.e., Person to person transmission